Organ which is commonly involved in Retroperitoneal fibrosis is
1. Large intestine
2. Pancreas
3. Ureter
4. Kidney

Correct answer: 3. Ureter

Explanation: Ureter is involved in Retro peritoneal fibrosis leading to Hydro Ureteno Nephrosis.